Most common site of congenital blockage in the nasolacrimal duct is:
1. At the upper end
2. In the middle
3. At the lower end
4. Whole of the duct

Correct answer: 3. At the lower end

Explanation: Ans. At the lower end